Where is the Central Labour Institute located?
1. Mumbai
2. Kolkata
3. Chennai
4. Kanpur

Correct answer: 1. Mumbai

Explanation: The Central Labour Institute was set up in Mumbai in 1970 to study various aspects of occupational health. The regional labour institutes are located in Kanpur, Kolkata and Chennai. Ref: Park 21st edition page: 759.